Commonest site of extraintestinal amoebiasis is ?
1. Brain
2. Liver
3. Spleen
4. Lungs

Correct answer: 2. Liver

Explanation: Ans. is 'b' i.e., Liver Liver abscess is the most common extra-intestinal manifestation of amoebiasis.